What are the objectives of furcation therapy:
1. Facilitate maintenance.
2. Prevent further attachment loss.
3. Obliterate the furcation defects as a periodontal maintenance problem.
4. All of the above.

Correct answer: 4. All of the above.

Explanation: The objectives of furcation therapy are to

Facilitate maintenance
Prevent further attachment loss and
Obliterate the furcation defects as a periodontal maintenance problem. The selection of therapeutic mode varies with the class of furcation involvement, the extent and configuration of bone loss, and other anatomic factors.